Causes of non-healing of enterocutaneous fistula are all except:
1. Epithelialization of track
2. Radiation enteritis
3. Acute inflammatory disease
4. Track length >3 cm

Correct answer: 4. Track length >3 cm

Explanation: Factors Preventing Spontaneous Fistula Closure High output (>500 mL/day) Severe disruption of intestinal continuity (> 50% of bowel circumference) Active inflammatory bowel disease of bowel segment Cancer Radiation enteritis Distal obstruction Undrained abscess cavity Foreign body in the fistula tract Fistula tract <2.5 cm long Epithelialization of fistula tract